Which of the following is not caused by Oxytocin
1. Milk ejection
2. Lactogenesis
3. Contraction of uterine muscles
4. Myoepithelial cell contraction

Correct answer: 2. Lactogenesis

Explanation: Ans. B. LactogenesisOXYTOCIN causes contraction of the myoepithelial cells that line the ducts of the breast. This squeezes the milk out of the alveoli of the lactating breast into the large ducts and then Out of nipple (milk ejection) Oxytocin also causes contraction of smooth muscle of uterus.